What is the treatment of choice for cystosarcoma phylloides?
1. Wide local excision
2. Radical mastectomy
3. Radiotherapy
4. Chemotherapy

Correct answer: 1. Wide local excision

Explanation: Cystosarcoma phylloides are not simply giant fibroadenoma. They show a wide spectrum of activity, varying from almost a benign condition (85%) to a locally aggressive and sometimes metastatic tumour (15%). Depending on mitotic index and degree of pleomorphism they are graded as low grade to high grade tumours. When malignant (sarcoma) spreads to lungs or bone. Treatment is wide local excision or subcutaneous mastectomy is done. If malignant (sarcoma), total mastectomy is indicated. Ref; (page no; 520) 5th edition of SRB'S manual of Surgery